A most common site for squamous cell ca. esophagus is
1. Upper third
2. Middle third
3. Lower third
4. Gastro-esophageal junction.

Correct answer: 2. Middle third

Explanation: Distribution of Squamous cell Ca

Upper 1/3 - 10%
Middle 1/3 - 60%         
Lower 1/3 - 30%